Tapetum is a part of?
1. Putamen
2. Corpus callosum
3. Internal capsule
4. Trigeminal quadrigemini

Correct answer: 2. Corpus callosum

Explanation: The tapetum is formed by those fibres of the trunk and splenium of Corpus callosum which are not intersected by the fibres of Corona Radiata.It is a thin lamina of white fibres which forms the roof and lateral wall of the posterior horn and lateral wall of inferior horn of the lateral ventricle.(Reference: Vishram Singh textbook of neuroanatomy Second Edition page 164)